Dendritic ulcer is produced by
1. Pneumococcus
2. Herpes zoster virus
3. Gonococcus
4. Herpes simplex virus

Correct answer: 4. Herpes simplex virus

Explanation: Epithelial Herpes simplex Virus keratitis - Symptoms Redness Pain Photophobia Tearing Decreased vision Signs Three distinct patterns of epithelial keratitis seen are : punctate Epithelial keratitis dendritic ulcer geographical ulcer Ref;A.K.Khurana; 6th edition; Page no:108 REF IMG